All of the following statements about Creutzfeldt-Jakob disease are true, Except -
1. It is a neurodegenerative disease.
2. It is caused by infectious proteins
3. Myoclonus is rarely seen
4. Brain biopsy is specific for diagnosis.

Correct answer: 3. Myoclonus is rarely seen